All of the following are important precautions to prevent infections associated with arterial catherterizations except -
1. Education of health personnel
2. Hand hygiene
3. Use sterile semi permeable dressing
4. Use of femoral artery more than radial artery

Correct answer: 4. Use of femoral artery more than radial artery

Explanation: Answer- D.Use of femoral artery more than radial arteryEducate healthcare personnel regarding the indications for intravascular catheter use, proper precautions for insertion and maintenance of intravascular catheters, and appropriate infection control measures to prevent catheter-related infections.Insertion technique Hand hygiene is to be performed before insertion or manipulation of arterial catheter.Maximum sterile barrier precautions should be used for axillary or femoral arterial catheter placement.Site selection Radial, dorsalis pedis and brachial sites are to be used preferentially over femoral site.